Post marketing surveillance included in which phase of drug clinical trial?
1. i
2. ii
3. iii
4. iv

Correct answer: 4. iv

Explanation: Surveillance after marketing, i.e. after the drug is out in the market is a part of Phase IV of clinical trials. It includes follow-up of patients taking the drug and adverse drug reaction (ADR) reporting as well as looking for newer treatment indications Ref: Park 24th edition